The most common tumor that spread to orbit from intracranial cavity is
1. Gliomas
2. Pituitary tumors
3. Neurofibroma
4. Sphenoid wing meningioma

Correct answer: 4. Sphenoid wing meningioma

Explanation: Sphenoid wing meningiomas are slow growing tumors that originate from outer arachnoid meningeal epithelial cells.